Which statement is true for both pinocytosis and phagocytosis?
1. Involves the recruitment of actin filaments
2. Occurs spontaneously and nonselectively
3. Endocytotic vesicles fuse with ribosomes that release hydrolases into the vesicles
4. Is only observed in macrophages and neutrophils

Correct answer: 1. Involves the recruitment of actin filaments

Explanation: Both pinocytosis and phagocytosis involve movement of the plasma membrane. Pinocytosis is cell drinking, whereas phagocytosis is cell eating. Both events require the recruitment of actin and other cytoskeleton elements. Phagocytosis is not spontaneous and is selective, being triggered by specific receptor-ligand interactions and Endocytotic vesicles fuse with ribosomes that release hydrolases into the vesicles